Which of the following is the cofactor for Prokaryotic DNA ligase?
1. Tetrahydrobiopterin
2. ATP
3. NAD
4. FAD

Correct answer: 3. NAD

Explanation: DNA ligase : Enzyme that catalyse the formation of phosphodiester bond. During replication, the nick is sealed by DNA ligases. Use : In recombinant DNA technology as molecular glues. Cofactors : In Prokaryotes - NAD In Eukaryotes - ATP